In Breslau's second life test, organ tested is -
1. Brain
2. Heart
3. Lung
4. Stomach and Intestine

Correct answer: 4. Stomach and Intestine

Explanation: Breslau's second life test assumes that a live born child would respire and therefore, would also swallow some air into the stomach and bowel.